True statement about Ductus Arteriosus is :
1. It undergoes anatomic closure within 24 hrs of birth
2. Forms the ligamentum venosum in later life
3. It is induced to close by high levels of prostaglandins
4. May cause a machinary murmur by its patency

Correct answer: 4. May cause a machinary murmur by its patency

Explanation: Answer is D (May cause machinery murmur by its patency) Shunt murmur in patent ductus arteriosus is a continuous machinery murmur. Anatomic closure of Ductus arteriosus may take upto three months. Physiological closure (mediated by bradykinin) occurs almost immediately after birth by contraction of its muscular wall. Anatomic closure occurs by proliferation of intima, and may take from 1-3 monthsQ (& not in 24 hrs). Ductus arteriosus after obliteration forms ligamentum arteriosum.Q (& not the ligamentum venosum) - Closure of the ductus venosus forms the Ligamentum venosum. - Closure of distal part of umbilical arteries --)forms medial umbilical ligament. Q - The proximal part of umbilical artery remains patent as the "superior vesical artery". Q - Closure of umbilical vein -forms the ligamentum teres hepatis. Q Prostaglandins maintain patency of ductus arteriosus, and do not induce it to close "In neonates with congenital heart defects, till surgery is undertaken, PGE1 (Alprostadil) is used to maintain patency of ductus arteriosus".- Prostaglandins maintains patency of ductus arteriosus NSAIDs - help in early closure of ducts arteriosus Ductus arteriosus may cause a machinary murmur by its patency. "Shunt murmur is a continuous machinery murmur". The murmur is best heard at the 2nd left intercostal space and is also well heard below the left clavicle, where it maintains its continuous machinery character.